In the apoptosis,Apaf-1 is activated by release of which of the following substances from the mitochondria
1. Bcl-2
2. Bax
3. Bcl-XL
4. Cytochrome c

Correct answer: 4. Cytochrome c

Explanation: Ref, Harrison 17/e p506,9/ep55 Apoptosis or programmed cell death can be induced by intrinsic or extrinsic pathway.as can be seen in the intrinsic pathway;cytc gets associatio with ApAF-1 which activates caspases and causes cell death